Bergmeister papilla are present on the:
1. Anterior corneal surface
2. Near the optic disc
3. Anterior lens surface
4. Posterior lens surface

Correct answer: 2. Near the optic disc

Explanation: Ans. Near the optic disc